Which of the following is a component of active management of III stage of labor?
1. Inj Oxytocin 10units IM within 30sec of delivery of baby
2. Inj Oxytocin 10units IM within 1min of delivery of baby
3. Inj Oxytocin 10units IM within 2min of delivery of baby
4. Inj Oxytocin 10units IM within 5min of delivery of baby

Correct answer: 2. Inj Oxytocin 10units IM within 1min of delivery of baby

Explanation: The active management of third-stage labor consists of early cord clamping, controlled cord traction during placental delivery, and immediate administration of prophylactic uterotonics . The goal of this triad is to limit postpartum hemorrhage.Ref: William&;sObstetrics; 24th edition